Probiotics are useful for:
1. Necrotizing enterocolitis
2. Breast milk jaundice
3. Hospital acquired pneumonia
4. Neonatal seizures

Correct answer: 1. Necrotizing enterocolitis

Explanation: Ans. (A) Necrotizing enterocolitis(Ref: Clinical Microbiology Reviews, Vol. 16, No. 4, October 2003, 658-672)Probiotics are defined as live microorganisms that, when administered in adequate amounts, confer a health benefit on the host.Bacterial colonization or infection of the intestine by pathogens such as Clostridium, Escherichia, Klebsiella, Salmonella, Shigella, Campylobacter, Pseudomonas, Streptococcus, Enterococcus, Staphylococcus aureus, and coagulase-negative staphylococci increases the risk of necrotizing enterocolitis.Other potential uses of probiotics areManaging lactose intolerancePrevention of colon cancerCholesterol loweringLowering blood pressureImproving immune function and preventing infectionsHelicobacter pyloriAntibiotic-associated diarrheaReducing inflammationImproving mineral absorptionPrevents harmful bacterial growth under stressIrritable bowel syndrome and colitis